In corrosive acid case is opened along:
1. Lesser curvature
2. Greater curvature
3. Vertical
4. Pylorus

Correct answer: 2. Greater curvature

Explanation: In corrosive acid poisoning, it is open along the greater curvature. Toxic substances may be held in high concentrations in the rugae and crypts of the mucosa in the actual stomach wall. The pathway of acids and alkalis in food-filled stomach starts along the lesser curvature of the stomach and leads to the pylorus, which explains the location of greatest damage in stomach.